A 30-year-old male underwent excision of the right radial head. Following surgery, the patient developed in ability to extend the fingers and thumb of the right hand. He did not have any sensory deficit. Which one of the following is the most likely cause:-
1. Injury to posterior interosseus nerve
2. injury to median nerve
3. Injury to anterior interosseus nerve
4. High radial nerve palsy

Correct answer: 1. Injury to posterior interosseus nerve

Explanation: The patient has a motor nerve injury in the proximity to radial head - posterior interosseous nerve -paralysis of posterior forearm muscles (extensors of thumb and fingers). High radial nerve palsy- can also cause wrist drop in the patient. Injury to median nerve and Injury to anterior interosseus nerve- cause fexor compartment paralysis.